Thermoregulatory response activated by cold is
1. Cutaneous vasodilatation
2. Anorexia
3. Increased voluntary activity
4. Increased respiration

Correct answer: 3. Increased voluntary activity